Chief Extensor at knee joint is
1. Biceps femoris
2. Quadriceps femoris
3. Semitendinosus
4. Semimembranosus

Correct answer: 2. Quadriceps femoris

Explanation: Quadriceps femoris is knee Extensor. Hamstrings (Biceps femoris long head, Semitendinosus, Semimembranosus and Adductor magnus) are Knee Flexors.